Which of the following bursae communicates with shoulder joint ?
1. Subacromial bursa
2. Subdeltoid bursa
3. Subcapsular bursa
4. Infraspinatus bursa

Correct answer: 3. Subcapsular bursa

Explanation: Ans. is 'c' i.e., Subcapsular bursaBursae around shoulder joints There are following bursae around the shoulder :?Subacromial - subdeltoid bursa :- These are usually continuous with each other. It is one of the largest bursa of body. It separates coracoacromial arch and deltoid muscle from supraspinatus tendon and joint capsule. This bursa facilitates abduction and during this movement it moves beneath the acromion process. In subacromeal bursitis, pain is elicited when the deltoid is pressed just below the acromian process, the arm being in adducted position. When the arm is abducted to 90deg pain can not be elicited by pressure on the same point because bursa disappears under the acromian. This is called Dawbarn's sign.Subscapular bursa :- It lies between anterior capsule and subscapularis muscle. It is always in continuity with the joint cavity.Infraspinatus bursa :- It lies between posterior capsule and infraspinatus tendon. Sometimes, it may communicates with joint cavity.